Minimum number of ANC visits required as per 2010 MOHFW (Ministry of Health and Family Welfare) guidelines ?
1. 1
2. 2
3. 3
4. 4

Correct answer: 4. 4

Explanation: Ans. is 'd' i.e., 4 Now, at least 4 antenatal visits, during pregnancy, are recommended.